Which is not a true rib:
1. 5th
2. 6th
3. 7th
4. 8th

Correct answer: 4. 8th

Explanation: Ans. D 8thRef: BDC, 6th ed. Vol 1 pg. 196-97* True ribs: Ribs directly articulating with sternum through costal cartilage. They are ribs 1 to 7* False ribs: Ribs that do NOT articulate directly with sternum. Ribs 8 to 12th.